Prolonged use of hydralazine for the treatment of hypertension is likely to cause:
1. Gynaecomastia
2. Thrombocytopenia
3. Hemolytic anemia
4. Lupus erythematosis

Correct answer: 4. Lupus erythematosis